Males who are sexually underdeveloped with rudimentary testes and prostate glands, sparse pubic and facial hair, long arms and legs and large hands and feet are likely to have the chromosome complement of:
1. 45, XYY
2. 46, XY
3. 47, XXY
4. 45, X0

Correct answer: 3. 47, XXY

Explanation: Klinefelter syndrome. Extra X chromosome, so they are 47 XXY or 46XY/47 XXY mosaics. Male phenotype Hypogonadism | Secondary sexual characteristics Disproportionately long arms and legs.